Maximum concentration of plasma calcium exist as -
1. Complexed to phosphate
2. Complexed to citrate
3. Bound to plasma albumin
4. Ionized form

Correct answer: 4. Ionized form

Explanation: Plasma calcium exist as - 50 % - Biologically active ionized form 45% - Bound to plasma proteins (mainly albumin) 5% - Complexed to phosphate & citrate